Anisometropia means-
1. Difference in corneal curvature in both meridian
2. High difference of refractive error between the two eye
3. Subluxation of one of the lens
4. Difference in image size of 2% in both eyes

Correct answer: 2. High difference of refractive error between the two eye

Explanation: Ans. (b) High difference of refractive error between the two eyeRef: Parson's 22/e, p. 78Anisometropia is term used when dioptric power of both eyes are not the same, significant if >2.5D difference.